Unit of radiation exposure:
1. Rad
2. Gray
3. Sievert
4. Roentgen

Correct answer: 4. Roentgen

Explanation: Ans. (d) RoentgenRef: Essentials of radiological Science 2nd ed. 13* Unit of radiation exposure- Roentgen (SI= Coloumb/ kg)* Unit of absorbed radaition- RAD (SI= GRAY)* Unit of biologic effectiveness- Rem (SI= Sievert)